Ranson's score is associated with:
1. Volvulus
2. Pancreatitis
3. Appendicitis
4. None of the above

Correct answer: 2. Pancreatitis

Explanation: Pancreatitis can be classified as severe based on predictors such as APACHE-II scores and Ranson's signs, and any evidence that the condition is severe mandates care of the patient in the intensive care unit. Such evidence may take various forms, such as the onset of encephalopathy, a hematocrit >50%, urine output Elderly patients with three or more Ranson's criteria should also be monitored carefully despite the absence of severe pain. Ref: Schwartz's principle of surgery 9th edition, chapter 33.